All are causes of sensorineural deafness Except -
1. Old age
2. Cochlear otosclerosis
3. Loud sound
4. Rupture of tympanic membrane

Correct answer: 4. Rupture of tympanic membrane